Causes of conjugated hyperbilirubinemia is ?
1. Rotor syndrome
2. Breast milk jaundice
3. Crigler najjar
4. Gilbert syndrome

Correct answer: 1. Rotor syndrome

Explanation: Ans. is 'a' i.e., Rotor syndrome